A 21-years-old girl with 8 weeks amenorrhoea, now comes in shock. The likely diagnosis is:
1. Ruptured ectopic pregnancy
2. Incarcerated amnion
3. Twisted ovarian cyst
4. Threatened abortion

Correct answer: 1. Ruptured ectopic pregnancy

Explanation: Ans. is a, i.e. Ruptured ectopic pregnancyRef Dutta Obs. 7/e, p 182Remember: History of acute abdominal catastrophe with fainting attack and collapse i.e. shock following short period of amenorrhea, in a woman of child bearing age always points towards ectopic pregnancy (ruptured) and no other diagnosis.